Kviem siltzbach test is used in the diagnosis of
1. Tuberculosis
2. Sarcoidosis
3. Histoplasmosis
4. Leishmaniasis

Correct answer: 2. Sarcoidosis

Explanation: Ans. is'b'i.e., Sarcoidosis Kveim-Siltzbath skin test It is a useful intradermal diagnostic test The antigen is prepared from involved lymph node or spleen is injected intradermally In a positive test, nodular lesions appears in 3-6 weeks at the inoculation site, which on microscopic examination shows presence of noncaseating granulomas (sarcoidosis like lesions) The kviem siltzbath material is no longer available and with the use of transbronchial biopsy to obtain lung parenchvm for diagnostic purposes, the kviem siltzbath test is only of historic interest. Laboratory anomalies Common abnormalities in the blood include Lymphocytopenia, mild eosinophilia Increased E.S.R., hyperglobulinemia Elevated level of ACE False positive tests for rheumatoid factor or ANA's Hypercalccmia or an elevated 24 hr urine calcium level The lung function abriormalties of sarcoidosis are typical for interstitial Lung diseaseQ and include decreased lung volumes with and diffusing capacity with a normal or supernormal ratio of the forced expiratory volume in is to the forced vital capacity. Also know Sarcoidosis of the lung is primarily an interstitial lung disease in which the inflammatory process involves the alveoli, small bronchi and small blood vessesls. Pleura is involved in 1-5% of cases almost always manifesting as unilateral pleural effitsionso. The effusions usually clear within a few week. Pneumothorax of hydropneumothorax is observed in sarcoidosis but is very rare.